A compound X decreases the functional activities of several CNS neurotransmitters including dopamine, adrenaline and serotonin. At high doses it may cause Parkinsonism like extrapyramidal system dysfunction. Which of the following can be X?
1. Baclofen
2. Diazepam
3. Ketamine
4. Reserpine

Correct answer: 4. Reserpine

Explanation: (Ref: KDT 6/e p549) Neurotransmitters (like dopamine, serotonin and adrenaline) are stored in the vesicles after their synthesis. These stores of neurotransmitters are released on stimulation of the neuron. Reserpine inhibits the vesicular transport of these neurotransmitters resulting in depletion of dopamine, serotonin and adrenaline. Severe depression (due to deficiency of serotonin) leading to suicidal tendencies and extrapyramidal symptoms (due to deficiency of dopamine in the brain) are the adverse effects of this drug.